Sterotactic radiotherapy uses all except:
1. Linear accelerator
2. Proton beam
3. Gamma knife
4. Electron beam

Correct answer: 4. Electron beam

Explanation: Electron beam is not used in Stereotactic radiosurgery.